CCK-PZ causes all of the following except :
1. Gall bladder contraction
2. Pancreatic enzyme secretion
3. Increased gastrin secretion
4. Decreased lower esophageal sphinictor

Correct answer: 3. Increased gastrin secretion

Explanation: C i.e. Increased gastrin secretion